The recommended dietary allowance of Calcium for pregnant females is:
1. 1000
2. 1200
3. 1500
4. 1300

Correct answer: 1. 1000